All of the following are features of asteroid hyalosis except:
1. Usually bilateral
2. Solid vitreous
3. Spherical calcium bodies
4. Usually asymptomatic

Correct answer: 1. Usually bilateral

Explanation: Ans. Usually bilateral